Visual loss due to cerebral degeneration is related to which artery?
1. Posterior cerebral artery
2. Middle cerebral artery
3. Internal carotid artery
4. Inferior cerebral artery

Correct answer: 1. Posterior cerebral artery

Explanation: Visual field defects in occipital lobe lesions include: Congruous homonymous hemianopia (usually sparing the macula) is a feature of occlusion of posterior cerebral artery supplying the anterior part of visual cortex.